You expect a patient in the oliguric phase of renal failure to have a 24 hour urine output less than
1. 200ml
2. 400ml
3. 800ml
4. 1000ml

Correct answer: 2. 400ml

Explanation: Oliguria is defined as urine output of less than 400ml/24hours